Disposal of Glass vaccine vials as Biomedical wastes is done by:-
1. Incineration
2. Autoclaving then Landfill
3. Disinfection then recycling
4. Encapsulation

Correct answer: 3. Disinfection then recycling

Explanation: Disposal of glass vaccine vials and metallic body implants as biomedical wastes: Blue category. Treatment and disposal is done by Chemical treatment/autoclaving / Hydroclaving / Microwaving followed by Recycling.